The resistance of a population to infection and pathogen spread due to the immunity of a large presence of the population is known as?
1. Resistance effect
2. Vicarious immunity
3. Herd immunity
4. Threshold immunity

Correct answer: 3. Herd immunity

Explanation: Ans. is 'c' i.e., Herd immunity Herd immunity (herd effect, community immunity, population immunity, or social immunity)* It is a form of indirect protection from infectious disease that occurs when a large percentage of a population has become immune to an infection, thereby providing a measure of protection for individuals who are not immune. It depends upon -1. Occurrence of clinical and sub-clinical infections in the herd.2. Immunized status of the herd.3. Herd structure, which is never constant, due to new births, deaths, migration etc. and includes presence of hosts of other species like animals, insects as well as environmental and social factors.